Irradiation can be used to sterilize all except
1. Bone graft
2. Suture
3. Artificial tissue graft
4. Bronchoscope

Correct answer: 4. Bronchoscope